Cholinesterase inhibitors causes all, except:
1. Increased salivation
2. Bronchodilation
3. Constricted pupils
4. Increased peristalsis

Correct answer: 2. Bronchodilation

Explanation: Ans. Bronchodilation